Most common infection in a child nephrotic syndrome :
1. Spontaneous bacterial peritonitis
2. Pneumonia
3. UTI
4. Cellulitis

Correct answer: 1. Spontaneous bacterial peritonitis

Explanation: Spontaneous bacterial peritonitis is the most frequent type of infection.